Mean < Median < Mode is seen in which type of curve -
1. Negative skewed
2. Positively skewed
3. Normal distribution
4. No correlation

Correct answer: 1. Negative skewed

Explanation: Ans. is 'a' i.e., Negative skewed Relationship b/w the measures of central tendency* In a symmetrical cw'veMean = Median = Mode* In a Positive (Right) skewed curveMean > Median > Mode* In a Negative (left) skewed curveMean < Median < Mode